Increased tendency to fall asleep at night without causing central nervous system depression is a property exhibited by :
1. Pyridoxine
2. Diphenhydramine
3. Melatonin
4. Ethanol

Correct answer: 3. Melatonin